Which of the following is most likely due to a pharmacogenetic condition?
1. Hypoglycemia by insulin
2. Tachycardia by albuterol
3. Metoclopramide induced muscle dystonia
4. Primaquine induced hemolytic anemia

Correct answer: 4. Primaquine induced hemolytic anemia

Explanation: * Primaquine is an oxidant drug. It can cause hemolytic anemia in subjects having deficiency of G6PD enzyme. * This condition is genetically determined. * Other three options i.e hypoglycemia due to insulin, tachycardia by Albuterol and metoclopramide induced dystonia are dose dependent adverse effects.